NRHM was started in -
1. 2005
2. 2006
3. 2007
4. 2009

Correct answer: 1. 2005

Explanation: Ans. is 'a' i.e., 2005 National Rural Health Mission (NRHMI Government of India launched NRHM on 5th April. 2005 for a period of 7 years (2005-2012). The mission seeks to improve rural health care delivery system. o The main aim of NRIIM is to provide accessible, affordable, accountable, effective and reliable primary health care and bridging the gap in rural health care through creation of a cadre of Accredited Social Health Activist (ASHA).